On average, approximately what is the dimension of the permanent maxillary canine at the widest mesiodistal diameter of the crown?
1. 5.5 mm.
2. 6.5 mm.
3. 7.5 mm.
4. 8.5 mm.

Correct answer: 3. 7.5 mm.

Explanation: The dimension of the permanent maxillary canine at the widest MD diameter is 7.5 mm (7.5 mm (Ash and Nelson, 2003); 7.6 mm ).